In which of the following locations there is collection of pus in the quinsy:
1. Peritonsillar space
2. Parapharyngeal space
3. Retropharyngeal space
4. Within the tonsil

Correct answer: 1. Peritonsillar space

Explanation: Peritonsillar space Quinsy (Peritonsillar abscess) usually unilateral and most commonly affected adult males i) This consists of suppuration outside the tonsillar capsule, and the swelling can extends to the soft palate and the tonsil may also be pushed medially. ii) It is a complication of acute or chronic tonsillitis, There occurs accumulation of pus between the tonsil capsule and tonsil bed. In most cases pus collection occurs antero-superior to tonsil, but may sometimes occur lateral or superior to tonsil iii) Quinsy is the collection of pus in the peritonsillar space which lies between the capsule of tonsil and the superior constrictor muscle Para-pharyngeal labscess-infection from tonsil or peritonsillar tissue may involve parapharyngeal space with abscess formation. The tonsil should be removed 6-8 weeks following a quinsy Complication of peritonsillar abscess Aspiration and asphyxia Para pharyngeal abscess Thrombosis of internal jugular vein or even a carotid artery rupture can occurs because of extension of this abscess to para pharyngeal space Laryngeal oedema with resultant asphyxia Septicaemia and multiple abscesses mayo cure